Non union is a common feature of fracture of
1. Supracondylar humerus
2. Clavicle
3. Lower tibia
4. Coracoid process

Correct answer: 3. Lower tibia

Explanation: C i.e. Lower tibia Fracture through the lower third of tibia. is more liable to go onto delayed union because the lower fragment becomes relatively avascular dlt poor vascularityQ.